All of the following are associated with an increased incidence of abdominal wound dehiscence EXCEPT
1. Bringing a stoma through the incision
2. Closure of the wound with a continuous suture
3. Presence of ascites
4. Presence of jaundice

Correct answer: 2. Closure of the wound with a continuous suture

Explanation: The incidence of wound dehiscence is no higher with a continuous suture closure than with an interrupted suture closure. Bringing a stoma through the incision significantly increases the possibility of dehiscence. The presence of jaundice or other evidence of liver failure is associated with an increased probability of wound dehiscence. Ascites is another associated factor. A monofilament suture closure is safer than a closure with a braided suture. Closure under tension and closure of a wound without adequate hemostasis are technical factors, which increase the possibility of dehiscence.